What of the following is true about plasma tl/2-
1. Is same as bioavailability
2. It is directly proportional to clearance
3. It is inversely proportional to volume of distribution
4. Tl/2 remains constant for the drugs eliminated by first order kinetics

Correct answer: 4. Tl/2 remains constant for the drugs eliminated by first order kinetics

Explanation: Ans. is 'd' i.e., T 1/2 remains constant for the drugs eliminated by first order kinetics Ivermectin* Ivermectin is an extremely potent semisynthetic derivative of nematodal principal obtained from Streptomyces avermitilis.* It is the DOC for single dose treatment of onchocerciasis and strongyloidosis.* It is the only oral drug effective against scabies and pediculosis.* It acts by glutamate gated Cl- channel which causes tonic paralysis in nematodes.* Following table depicts the drugs used for the management of round worm infections.Infection OrganismDrug of ChoiceAlternative DrugsRoundworms (nematodes) Ascaris lumbricoides (roundworm)Albendazole's or pyrantel pamoate or membendazolePiperazineTrichuris trichiura (whipworm)Mebendazole or albendazoleOxantel/pyrantel pamoateNecator americanus (hookworm); Ancylostoma duodenale (hookworm)Pyrantel pamoate or mebendazole or albendazole Strongyloides stercoralis (threadworm)IvermectinThiabendazole, albendazoleEnterobius vermicularis (pinworm)Mebendazole or pyrantel pamoateAlbendazole fTrichinella spiralis (trichinosis)Mebendazole, add corticosteroids for severe infectionAlbendazole; add corticosteroids for severe infectionTrichostrongylus speciesPyrantel pamoate or mebendazoleAlbendazoleCutaneous larva migrans (creeping eruption)Albendazole or ivermectinThiabendazole (topical)Visceral larva migransAlbendazoleMebendazoleAngiostrongylus contonensisThiabendazoleAlbendazole or mebendazoleWuchereria bancrofti (filariasis); Brugia malayi (filariasis); tropical eosinophilia; Loa loa (Ioiasis)DeithylcarbamazineIvermectinOnchocerca volvulus (onchocerciasis)Ivermectin Dracunculus medinensis (guinea worm)MetronidazoleThiabendazole or mebendazoleCapillaria phillippinensis (intestinal capillariasis)AlbendazoleMebendazole or thiabendazole